Starch is a
1. Polysaccharide
2. Protein
3. Disaccharide
4. None of these

Correct answer: 1. Polysaccharide

Explanation: Starch is a polysaccharide composed of D- glucose units held together by a-glycosidic bonds, (a 1- 4 linkages; at branching points a 1- 6 linkages). Educational Points: Starch and Fiber - Health effects Effects of excessive fiber intake (Soluble Fibers) Lower blood cholesterol Slow glucose absorption Slow transit of food through upper GI tract Holds moisture in stools Softening stool Yields small molecules (short chain fatty acids) that protect the colon, provide energy and control type of bacteria Lower risk of heart disease Lower risk of diabetes Insoluble Fibers Insoluble and less fermentable Cellulose Lignins Psyllium Resistant Starch Many hemicelluloses Insoluble Fibers Increase fecal weight Speed fecal passage through the colon Provide bulk and feelings of fullness Insoluble Fibers Alleviate constipation Lower risks of diverticulosis, Hemorrhoids, appendicitis May help with weight Ref : Biochemistry by U. Satyanarayana 3rd edition Pgno : 20